A 24-year-old man presents with cellulitis two days after he is bitten by his cat. What is the most likely dominant organism involved in the infection?
1. Bartonella henselae
2. Calymmatobacterium granulomatis
3. Pasteurella multocida
4. Toxoplasma gondii

Correct answer: 3. Pasteurella multocida

Explanation: Pasteurella multocida is a dominant organism in the cat's mouth. Choice A, Bartonella, is the causative agent of cat scratch fever and is less common in bites. Choice B, Calymmatobacterium, causes a sexually transmitted infection, and Toxoplasma (choice D) is associated with cats but transmitted by their faeces, not bites.